A 40 weeks old infant can do all the following except?
1. Waves bye bye
2. Transfer object from one hand to another
3. Sits without support
4. Makes a tower of 3 - 4 cubes

Correct answer: 4. Makes a tower of 3 - 4 cubes

Explanation: Ans. is 'd' i.e., Makes a tower of 3-4 cubes